Which of the following is true about medullary cancer thyroid?
1. MET gene Positive
2. Elevated levels of serum calcitonin+
3. MEN I syndrome associated
4. Most common thyroid cancer

Correct answer: 2. Elevated levels of serum calcitonin+

Explanation: Ans. (b) Elevated levels of Serum calcitonin seenRef: Schwartz Page 1546/10th edition* Medullary cancer is associated with RET oncogene mutation.* MEN-2 Syndromes are associated with MTC* Most common thyroid cancer is Papillary cancer